The cytogenetics of chromophilic renal cell carcinoma is characterized by
1. Mutant VHL gene
2. Loss of 3p
3. Trisomy 7/17
4. Loss of 5q3

Correct answer: 3. Trisomy 7/17

Explanation: Chromophilic renal cell carcinoma is a distinct type of human renal cancer, only recently recognized and defined by its characteristic histomorphological aspect and cytogenetic aberrations. Immunohistochemistry revealed coexpression of vimentin and cytokeratins in all cell lines the cytokeratin polypeptide patterns, however, varying between the different cell lines. Chromphi-1 tumour cells produced slowly growing tumors in nude mice using the subrenal capsule assay. In all cell lines, the cytogenetic analysis revealed numerical chromosomal aberrations known to be characteristic for chromophilic RCCs, i.e. loss of the Y chromosome, tri- or tetrasomy of chromosomes 7 and 17 as well as various combinations of additional structural and numerical chromosomal aberrations. Ref: Wikipedia